Roflumilast is a
1. PDE-3 inhibitor
2. PDE-4 inhibitor
3. PDE-5 inhibitor
4. Leucotriene receptor antagonist

Correct answer: 2. PDE-4 inhibitor

Explanation: Roflumilast is a PDE-4 inhibitor that inhibits degradation of cAMP and lead to bronchodilation.